The femoral ring is bounded by the following structures except?
1. Femoral vein
2. Inguinal ligament
3. Femoral artery
4. Lacunar ligament

Correct answer: 3. Femoral artery

Explanation: The femoral ring is not bounded by Femoral artery.